Smegma is secreted by -
1. Tyson gland
2. Brenner gland
3. Cowper's gland
4. Bartholin' s gland

Correct answer: 1. Tyson gland

Explanation: • Tyson’s Glands ultimately produce an oily substance, which, when mixed with shed skin cells, constitute smegma.